Delta waves of Electroencephalogram have frequency of:
1. More than 14 cycles per second
2. Between 8 and 13 cycles per second
3. Less than 3.5 cycles per second
4. Between 4 and 7 cycles per second

Correct answer: 3. Less than 3.5 cycles per second